Exacerbation of lesions in patients of borderline leprosy is seen in -
1. ENL (erythema nodosum leprosum)
2. Lepra reaction type I
3. Jarisch-Herheimer reaction
4. Resolving leprosy

Correct answer: 2. Lepra reaction type I

Explanation: Type 1 or reversal reaction occurs in paucibacillary or multibacillary cases in unstable types like BT,BB,BL ENL is seen only in MB cases like BL and LL type only Reference; Park's Textbook of preventive and social medicine, 24th edition.Pg no. 342